Which among the following is the culture media of leptospirosis?
1. Korthof
2. Perkin
3. Tisdale
4. Baker's

Correct answer: 1. Korthof

Explanation: Leptospira can be grown in media enriched with rabbit serum. Several liquid and semisolid media such as Korthof, Stuart's and Fletcher's media have been described. Leptospires grow best under aerobic conditions at 28-30degC in semisolid medium (EMJH, others) in 10 mL test tubes with 0.1% agar and 5-fluorouracil. After 1-2 weeks, the leptospires produce a diffuse zone of growth near the top of the tube and later a ring of growth at a level in the tube corresponding to the level of the optimal oxygen tension for the organisms. Ref: Ray C.G., Ryan K.J. (2010). Chapter 37. Spirochetes. In C.G. Ray, K.J. Ryan (Eds), Sherris Medical Microbiology, 5e.